Atheromatous changes of blood vessels affects early which of the following organ?
1. Kidney
2. Heart
3. Liver
4. Spleen

Correct answer: 2. Heart

Explanation: Large elastic arteries (e.g., aorta, carotid, and iliac arteries) and large and medium-sized muscular arteries (e.g., coronary, renal, and popliteal arteries) are the vessels most commonly involved by atherosclerosis. Accordingly, atherosclerosis is most likely to present with signs and symptoms related to ischemia in the heart, brain, kidneys, and lower extremities. Myocardial infarction (heart attack), cerebral infarction (stroke), aortic aneurysms, and peripheral vascular disease (gangrene of extremities) are the major clinical consequences of atherosclerosis. ( Robbins Basic Pathology, 9 th edition, page 342 )